New born baby with Regurgitation of feeds and continuous drooling of saliva is
1. Esophageal atresia
2. GERD
3. Diffuse Esophageal Spasm
4. Zenker's Diverticulum

Correct answer: 1. Esophageal atresia

Explanation: Ans. (a) Esophageal AtresiaRef: Surgery Sixer 3rd Edition Page 327* Tracheo Esophageal Fistula is associated with Esophageal Atresia.* Babies born with Esophageal Atresia will have Continuous Drooling of Saliva and Regurgitates all its feeds.* Down Syndrome is associated with TEF